Which of the following changes are not likely during pregnancy?
1. A reduction in platelet concentration to the lower end of normal value
2. Increase in the white cell count
3. Increase in the levels of factor VII, VIII & X
4. Decrease in vital capacity

Correct answer: 4. Decrease in vital capacity

Explanation: The vital capacity doesn't change in pregnancy, its the tidal volume that expands into the ERV & IRV. The levels of factor VII ,VIII & X is usually at least double the non-pregnant state. The increase in WBC and ESR during pregnancy causes difficulty in diagnosing infections as well.